Vascular invasion is a common feature of -
1. Mucormycosis
2. Blastomycosis
3. Sporotrichosis
4. Candidiasis

Correct answer: 1. Mucormycosis

Explanation: Ans. A. Mucormycosisa. Angioinvasive fungi are Zygomycetes and Aspergillus.b. Invasion of the hyphae into the blood vessels, causing thrombosis, infarction, and necrosis.